The sodium content of ReSoMal (rehydration solution for malnourished children) is -
1. 90mmol/L
2. 60mmol/L
3. 45 mmol/L
4. 30 mmol/L

Correct answer: 3. 45 mmol/L

Explanation: ReSoMal (mMol/L) - Glucose 125, sodium 45, potassium 40, chloride 70, citrate 7, magnesium 3, zinc 0.3,copper 0.045